Treatment of calculus within the submandibular salivary gland is
1. Removal of sinus
2. Removal of the gland
3. Dichotomy
4. Milking of the stone

Correct answer: 2. Removal of the gland